Metronidazole is the drug of choice for
1. All periodontal disease
2. ANUG
3. Juvenile periodontitis
4. Herpes simplex

Correct answer: 2. ANUG